ECG change seen in Hypokalemia
1. Tall 'T' wave
2. U wave
3. Sine wave configration
4. Shortening of QT interval

Correct answer: 2. U wave

Explanation: Hypokalemia (plasma K+ +-3.5 meq/L). PR interval = 0.2 s; QRS interval = 0.06 s; ST-segment depression. A prominent U wave is now present immediately following the T. Tall T wave is present in hyperkalemiaIf the U wave is erroneously considered a part of the T, a falsely prolonged QT interval of 0.6 s will be measured in hypokalemia but true QT interval remain same in severe hypokalemia (plasma K+ +-2.5 meq/L)Ref: 23rd Edition of Ganong's Review of Medical Physiology pg no:503